Posterior urethral valve - true A/E ?
1. Palpable bladder
2. Hydronephrosis
3. Painful stress incontinence
4. Recurrent UTI

Correct answer: 3. Painful stress incontinence

Explanation: Ans. is `c' i.e., Painful stress incontinence Posterior urethral valve Most common cause of severe obstructive uropathy in children. 30% of children experienced end stage renal disease/CRF Dilated prostatic urethra. Hypertrophy of bladder muscle Vesicouretic reflux seen in 50% of cases. Back pressure change: Hydronephrosis Distended bladder Thin urinary stream Recurent UTI because of urinary stasis